Vasospasm is the cause of -
1. Stable angina
2. Unstable angina
3. Variant angina
4. Classical angina

Correct answer: 3. Variant angina

Explanation: Ans. is 'c' i.e., Variant anginaAngina pectoris o Angina pectoris is a symptom complex of IHD characterized by paroxysmal and usually recurrent attacks of substernal or precordial chest discomfort caused by transient myocardial ischemia.o There are three patterns of anginaClassical stable anginaUnstable anginaPrinzmetal variant anginaClassical (stable) anginaIt is the most common form of angina.o It is caused by the reduction of coronary perfusion to a critical level (> 75%) by chronic stenosing coronary atherosclerosis without plaque rupture.Patient complains chest discomfort, usually described as heaviness, pressure, squeezing, chocking or smothering. o Chest discomfort occurs on exertion and relieved by resto It is not described as frank pain.When patient is asked to localize the sensation, he/she will typically place their hand over the sternum with clenched fist --> Levine's sign.o Chest discomfort typically lasts 2-5 minutes.o Pain can radiate to shoulder, arm, back, interscapular region, neck, jaw, teeth, epigastrium.Stable angina is usually crescenda - decrescendo in nature. It usually recurs in a fairly predictable manner with consistent level of exertion.Unstable anginao Unstable angina is induced by disruption of atherosclerotic plaque with superimposed partial thromosis.o When ischemia is transient it causes angina, when it is prolonged it causes myocardial necrosis and precipitates myocardial infarction.Unstable angina is defined as chest discomfort that has at least one of the three featureIt occurs at rest (or with minimal exertion) and lasting > 10 min.It is severe and of new onset (i.e. within prior 4-6 weeks).It occurs with a crescendo pattern, i.e. distinctally more severe, prolonged frequent than previously. o The chest discomfort of US is described as pain (in contrast to stable angina).Prinzmetal variant anginao This uncommon pattern of episodic angina is precipitated by focal spasm of an epicardial artery.o Focal spasm is most common in right coronary artery.